All of the following are features of Grave’s disease except:
1. More common in males
2. Tremor
3. Pretibial myxoedema
4. Intolerance to heat

Correct answer: 1. More common in males